ANB angle refers to
1. Skeletal relation
2. Transverse discrepancy
3. Dental malocclusion
4. None of above

Correct answer: 1. Skeletal relation